According to US FDA, the machine used for taking intraoral radiographs is classified as
1. Class-I
2. Class-II
3. Class-III
4. Class-IV

Correct answer: 2. Class-II